Which of the following corynebacterium toxin is similar to that of diphtheria toxin
1. Corynebacterium auris
2. Corynebacterium jivelai
3. Corynebacterium ulcerans
4. Corynebacterium striatum

Correct answer: 3. Corynebacterium ulcerans

Explanation: C.ulcerans is related to C.diptheriae and can cause diphtheria like lesions. It resembles the gravis type of the diphtheria bacillus but it liquifies gelatin, ferments trehalose slowly and does not reduce nitrate to nitrite. It produces two types of toxins, one probably identical to the diphtheria toxin and the other resembling the toxin of C.pseudotuberculosis. It is pathogenic to the guniea pigs and the produced resembling those caused by the C.diptheriae. Ref: Textbook of microbiology; Ananthanarayan and paniker's; 10th Editon; Pg: 246